A person is having normal lung compliance and increased airway resistance. The most economical way of breathing for him
1. Rapid & deep
2. Rapid & shallow
3. Slow & deep
4. Slow & shallow

Correct answer: 3. Slow & deep

Explanation: In obstructive lung disease, the best way to breath is slow and deep, whereas in restrictive lung disease it is rapid and shallow.